A 54-year-old man with a long history of indigestion after meals and "heartburn" presents with upper abdominal pain. He was treated with proton-pump inhibitors for gastroesophageal reflux 3 years . An endoscopic biopsy of the lower esophagus shows glandular metaplasia. The patient described is at increased risk of developing which of the following diseases of the esophagus?
1. Achalasia
2. Adenocarcinoma
3. Candidiasis
4. Plummer-Vinson syndrome

Correct answer: 2. Adenocarcinoma

Explanation: - Barrett esophagus carries a serious risk of malignant transformation to adenocarcinoma, risk correlates with length of involved esophagus & degree of dysplasia. - Virtually all esophageal adenocarcinomas arise in the background of metaplastic epithelium of Barrett esophagus. - Symptoms & clinical course of adenocarcinoma of esophagus are similar to squamous cell carcinoma which include dysphagia, pain, occasionally bleeding.